Dead bone on an X-ray appears?
1. More radiopaque
2. Radio-lucent
3. Less audio opaque
4. Is not seen at all

Correct answer: 1. More radiopaque

Explanation: Ans ADead bone is devoid of vascularity and hence there is no osteoclastic removal of calcium as well as osteoblastic remodeling hence it appears radio opaque on radiographs.